Lateral wall of mastoid antrum is related to ?
1. Superficial temporal artery
2. External auditory canal
3. Emissary vein
4. Meningeal artery

Correct answer: 2. External auditory canal

Explanation: MacEwen's triangle or suprameatal triangle overlies the lateral wall of mastoid antrum. It is bounded above by supramastoid crest, anteroinferiorly by posterosuperior margin of external auditory canal and posteriorly by a tangent drawn from zygomatic arch.